All are features of sarcoidosis except
1. Interstitial Lung Disease
2. Erythema Nodosum
3. Retinal degeneration
4. Arthritis

Correct answer: 3. Retinal degeneration

Explanation: Uveitis is the ocular manifestation of sarcoidosis.